A young patient presented with blood pressure of 190/120 mm of Hg without any clinical symptom and fundus examination is normal, treatment of choice:
1. Oral Nitroglycerine
2. I.V. Nitroglycerine
3. Oral Enalapril
4. IV Enalarpil

Correct answer: 3. Oral Enalapril

Explanation: Answer is C (Oral Enalapril) Oral Enalapril (ACE inhibitors) are effective in lowering blood pressure and are well tolerated. Oral Enalapril is the agent of choice amongst the options provided. Hypertensive emergencies/urgency are defined when Diastolic BP> 120; Systolic BP>220. The patient in question has a blood pressure of 190/120 mmHg. This is not a case of hypertensive emergency/urgency and hence rapid lowering of blood pressure is not warranted. Blood pressure in such cases may be adequately normalized by an ACE inhibitor therapy which is the treatment of choice amongst the options provided IV Nitroglycerine, Oral Nitro21vcerine, IV Enalapril and Sublingual Nifedipine cause rapid lowering of blood pressure which is not indicated in this patient.